Opening of Eustachian tube in middle ear is in
1. Medial wall
2. Lateral wall
3. Anterior wall
4. Posterior wall

Correct answer: 3. Anterior wall

Explanation: Anterior wall has 2 openings, the lower one for eustachian tube and the upper one for the canal of tensor tympani muscle. 2. Opening for Eustachian tube. Reference: Dhingra 6th edition